Fixed drug eruptions can be seen more frequently with:
1. Penicillin
2. Sulfonamide
3. Cetrizine
4. Roxithromycin

Correct answer: 2. Sulfonamide

Explanation: SULFONAMIDES Sulfonamides were the first antimicrobial agents (AMAs) effective against pyogenic bacterial infections. Sulfonamido-chrysoidine (Prontosil Red) was one of the dyes included by Domagk to treat experimental streptococcal infection in mice and found it to be highly effective. The term fixed drug eruption describes the development of one or more annular or oval erythematous patches as a result of systemic exposure to a drug; these reactions normally resolve with hyperpigmentation and may recur at the same site with reexposure to the drug. Repeated exposure to the offending drug may cause new lesions to develop in addition to "lighting up" the older hyperpigmented lesions. Indapamide is a nontiazidic sulfonamide diuretic which has not been previously reported as a cause of fixed drug eruption. REFERENCE: www.ncbi.nlm.nih.gov ,www.medscape.org, essentials of medical pharmacology